In which case homologus artificial insemination is used in females:
1. Hormonal disturbance
2. Tubal block
3. Cervical factor
4. All of the above

Correct answer: 3. Cervical factor